An acidic agent that dissolves the inorganic structure in dentin that allows infiltration of adhesive resin is
1. Dentin bonding agent
2. Dentin conditioner
3. Primer
4. None of the above

Correct answer: 2. Dentin conditioner